Vimal, a 70 years old male presents with a h/o lower GI bleed for last 6 months. Sigmoidoscopic examination shows a mass, of 4 cms about 3.5 cms above the anal verge. The treatment of choice is -
1. Colostomy
2. Anterior resection
3. Abdominoperineal resection
4. Defunctioning anastomosis

Correct answer: 3. Abdominoperineal resection